Laproscopic procedure patient develops shoulder pain due to
1. Sub phrenic abscess
2. positional pain during surgery
3. Sub diaphragmatic migration of gas
4. Injury to liver

Correct answer: 3. Sub diaphragmatic migration of gas

Explanation: Ans. (c) Sub diaphragmatic migration of gas(Ref: Bailey 26th 100-101)* Shoulder pain after laparoscopy is due to pain referred from diaphragm and due to subdiaphragmatic migration of gas